Structures passing through the centre of the cavernous sinus
1. Occulomotor nerve
2. Trochlear nerve
3. Maxillary nerve
4. Abducent nerve

Correct answer: 4. Abducent nerve